The following drug is used for treatment of type II lepra reaction,except-
1. Clofazimine
2. Thaliodomide
3. Cyclosporin
4. Corticosteroid

Correct answer: 3. Cyclosporin

Explanation: Rx for type 2 reaction include NSAIDS, prednisolone, clofazimine and thalidomide. Reference IADVL's concise textbook of dermatology,page2091